True about mycetoma is
1. Commonly occurs in hands
2. Commonly erodes bone
3. Drains through lymphatics
4. Antibiotics has no role

Correct answer: 2. Commonly erodes bone

Explanation: Feet and lower legs are more commonly affected sites. Bone involvement may lead to osteomyelitis. Ref: Textbook of Microbiology, Ananthanarayan and Paniker; 9th edition